Rapid onset of inhalational GA depends on
1. Blood solubility
2. Cerebral blood flow
3. Partial pressure of GA
4. All of the above

Correct answer: 4. All of the above